A 30 year old female developed diffuse hair loss 3 months after delivery of her first child. The probable diagnosis is
1. Androgenic alopecia
2. Endocrinal alopecia
3. Telogen effluvium
4. SLE

Correct answer: 3. Telogen effluvium

Explanation: C i.e. Telogen effluviumDiffuse hair loss after 3 months of prolonged, high grade, recurrent fever of any cause (eg typhoid) or difficult & prolonged child hihQ indicates diagnosis - telogen effluvium. The onset of hair loss is rapid within 2-4 weeks of causes (like radio/chemotherapy, poisoning/intoxication and malnutrition) in anagen effluvium.